Pick the odd one out:
1. Lactose
2. Maltose
3. Sucrose
4. Cellulose

Correct answer: 4. Cellulose